In pseudo-cholinesterase deficiency, drug to be used cautiously is:
1. Barbiturate
2. Scoline
3. Halothane
4. Gallamine

Correct answer: 2. Scoline

Explanation: Scoline